Cause of red congested painful eye with mild dilated vertically oval pupil
1. Acute congestive glaucoma
2. Anterior uveitis
3. Keratoconjunctivitis
4. Eale's disease

Correct answer: 1. Acute congestive glaucoma

Explanation: A i.e. Acute congestive glaucoma